All of the following cause a gray-white membrane on the tonsils, except:
1. Infectious mononucleosis
2. Ludwig's angina
3. Streptococcal tonsillitis
4. Diphtheria

Correct answer: 2. Ludwig's angina

Explanation: Ludwigs angina is cellulitis of submandibular space. It does not lead to membrane formation over tonsils.